Multiple myeloma is characterized by all except:
1. Presence of light chains
2. Monoclonal gammopathy
3. Polyclonal gammopathy
4. Hypergammaglobulinemia

Correct answer: 3. Polyclonal gammopathy

Explanation: Answer is C (Polyclomal gammapathy) Mulitple Myeloma is characterized by monoclonal gammapathy and not polyclonal gammapathy. Multiple myeloma represents a malignant proliferation ofplasma cells derived from a single clone (monoclonal) Bone marrow cells are monoclonal